A 65 years old male having chronic renal disorder gives history of constipation with taking of Mg Cl2 in food supplements & antaacids electrolyte measure denotes hypermagnesemia clinically detects at bed side by
1. Loss of deep tendon reflexes.
2. Respiratory arrest
3. Flaccid paralysis
4. Urinary retension

Correct answer: 1. Loss of deep tendon reflexes.

Explanation: (Loss of deep tendon reflexes) (775- CMDT-08) (2373-HI7ih)HYPERMAGNESEMIA - Almost always associated with advanced stages of chronic Kidney disease and a history of chronic intake of magnesium containing drugs* Hypotension refractory to vasopressures or volume expansion may be an early sign (2373-H]7th)* Muscle weakness, decreased deep tendon reflexes**, mental obtundation and confusion are characteristic* Weakness- even flaccid paralysis - ileus, urinary retension, hypotension* There may be respiratory muscle paralysis or cardiac arrest* ECG shows - Increased PR interval, broadened QRS complexes and peaked T wavesTreatment of choice - is calcium chloride (Calcium acts as an antagonist to Mg^)* Hemodialysis or peritoneal dialysis when there is severe renal failure